Auto nephrectomy is seen in -
1. Sickle cell anemia
2. Renal T.B.
3. Sarcoidosis
4. Lymphoma

Correct answer: 2. Renal T.B.

Explanation: Ans. is 'b' i.e. Renal T.B.